The following are components of Brown Sequard syndrome except :
1. Ipsilateral extensor plantar response
2. Ipsilateral pyramidal tract involvement
3. Contralateral spinothalamic tract involvement
4. Contralateral posterior column involvement

Correct answer: 4. Contralateral posterior column involvement

Explanation: Brown - Sequard syndrome or hemisection of the spinal cord leads to loss of joint position and vibratory sense (posterior coluntn movement) on the ipsilateral side and not on the contralateral side. Brown sequard syndrome: Hemisection of spinal cord Ipsilateral involvement of corticospinal tract : ipsilateral loss of motor power. Ipsilateral involvement of posterior column : ipsilateral loss of joint position and vibratory sense. Contralateral involvement of spinothalamic tract : contralateral loss of joint position and vibratory sense. REF: Harrison book of internal medicine 21ST EDITION